Which of the following is the definition of conscious sedation?
1. A minimally depressed level of consciousness that retains the patient’s ability to independently and continuously maintain an airway and respond appropriately to physical stimulation or verbal command.
2. A significantly depressed level of consciousness that retains the patient’s ability to independently and continuously maintain an airway and respond appropriately to physical stimulation or verbal command.
3. A minimally depressed level of consciousness that retains the patient’s ability to independently and continuously maintain an airway.
4. A significantly depressed level of consciousness that retains the patient’s ability to independently and continuously maintain an airway.

Correct answer: 1. A minimally depressed level of consciousness that retains the patient’s ability to independently and continuously maintain an airway and respond appropriately to physical stimulation or verbal command.

Explanation: Conscious sedation is defined as a minimally depressed level of consciousness as opposed to deep sedation or general anesthesia. Remember that there are four stages of anesthesia (analgesia → delirium → surgical anesthesia → respiratory paralysis) and only in the first stage (analgesia) is the patient conscious. The patient should be able to maintain an airway and respond to stimulation and command.